Transmitters mainly involved in OCN is
1. GABA
2. NE
3. Dopamine
4. Serotonin

Correct answer: 4. Serotonin

Explanation: D i.e. SerotoninOCN involves Serotonin (5-HT) system, so fluoxetine (SSRI) is DOC.DiseaseRelated NeurotransmitterAlzheimer'sdisease- Acetyl cholineQ & Nor epinephrine are hypoactive- So anticholine-esterase - TacrineQ is used in treatment.DepressionNorepinephrine, Serotonin (5-HT)Q & Dopamine are reducedOCNSerotonin (5 117)(2SchizophreniaDopamine, Serotonin & Norepinephrine are ted(2